BCL-2 inhibitor used in CLL is?
1. Fludarabine
2. Cladiribine
3. Pentostatin
4. Venetoclax

Correct answer: 4. Venetoclax

Explanation: BCL- 2 inhibitor used in CLL is Venetoclax. It works by promoting apoptosis. CLL - Most common Blood Cancer (leukemia) in Adult population. Rx- Chemoimmunotherapy + Monoclonal Antibody F C R Fludrabine Cyclophosphamide Rituximab P C R Pentostatin Cyclophosphamide Rituximab